Which end product of citric acid cycle is used in detoxification of ammonia in brain
1. Oxaloacetate
2. Alphaketoglutarate
3. Succinate
4. Citrate

Correct answer: 2. Alphaketoglutarate

Explanation: Ans. is 'b' i.e., Alpha-ketoglutarate : "Glutamine (amide of glutamic acid) provides a non-toxic storage and transport form of ammonia. The formation of glutamine occurs primarily in the muscles and liver but also is important in the nervous system, where It's the major mechanism for the removal of ammonia in the brain."Thus Glutamine is the sole form of transport of ammonia in brain*.Glutamine is an amide of glutamic acid which is formed from alpha- ketoglutarate.